Protector or inhibitor of Apoptosis
1. BCL-2
2. BRCA
3. RB
4. TGF –β

Correct answer: 1. BCL-2